A 1 year old child was brought to OPD with soft ,compressible swelling on nose which increases on Coughing. Which of the following is most likely the diagnosis?
1. Ethmoid cyst
2. Meningoencephalocele
3. Lacrimal sac cyst
4. AV malformation

Correct answer: 2. Meningoencephalocele

Explanation: Nasal Meningoencephalocele Brain tissue herniates along with its meninges herniates through a bony defect C/F: Soft,cystic,compressible,translucent subcutaneous swelling present at: Root of nose Side of nose Anteromedial aspect of the orbit Swelling show cough implulse (Positive Frustenberg test) and may be reducible Ix -CT/MRI: Rx- Cut the tumor stalk from the brain and repairing the bony defect